Calcaneum fracture is most commonly associated with which fracture ?
1. Fracture rib
2. Fracture vertebrae
3. Fracture skull
4. Fracture fibula

Correct answer: 2. Fracture vertebrae

Explanation: FALL FROM HEIGHT Calcaneum is the most commonly fractured tarsal bone and in most cases the mode of injury is fall from height .Over 20% of these patients suffer associated injury of Dorsolumbar spine (most common), pelvis or hip, base of skull, tibia and talus. Fig.Fall from height